All of the following are true regarding primary prevention EXCEPT:
1. Immunization
2. Specific protection
3. Early diagnosis and treatment
4. Contraceptives

Correct answer: 3. Early diagnosis and treatment

Explanation: Ans. (c) Early diagnosis and treatmentRef: K. Park 23rd ed. / 41, 370-74* Early diagnosis and treatment comes under secondary level of prevention.* All vaccines/immunization are primary level of prevention.* BCG vaccine used for treatment of bladder CA is secondary level of prevention.Must KnowLevel of Prevention with their modes and exampleLevel of preventionTimingMode of preventionExamplePrimordialBefore emergence of risk factor-* Source reduction for protection of malaria.* Preserving traditional life stylePrimaryRisk factor present but NO disease yetBy health promotion and specific protection.* All vaccines* Contraceptives* Mosquito nets/repellants/DDT* ChemoprophylaxisSecondaryWhen Disease has probably startedBy early diagnosis and treatment* All screening and diagnostic tests.* Treatment measures* BP monitoringTertiaryDisease in progression:By disability limitation and rehabilitation.* Physiotherapy* Crutches in polio